In ARDS all are seen EXCEPT -
1. Dilated bronchioles
2. Edema
3. Fibrosis
4. Alveolar damage

Correct answer: 1. Dilated bronchioles